Cysticercosis present as : a)  Seizuresb)  Neuropathyc)  Encephalitisd)  Muscular hypertrophy
1. a
2. bc
3. ac
4. b

Correct answer: 3. ac

Explanation: Cyticercosis :

Cysticerci can be found any where in the body but are most commonly detected in - brain, skeletal muscles, subcutaneous tissue or eye.
Neurocysticerosis is the most common parastitic infection of the CNS.
Seizures are the presenting finding in > 70% of cases. Seizures are generalized in 80% cases but simple or complex partial seizures may occurs.
Intraventicular neurocysticercosis is associated with hydrocephalous and acute, subacute or intermittent signs of increased intracranial pressure.
Meningeal neurocysticercosis is associated with signs of meningeal irritation.
A fulminant encephalitis like presentation also occurs most frequently in children who have had a massive initial infection.
Ocular neurocyticercosis presents with decreases visual acuity due to cystecerci floating in the vitreous, retinal detachment or irrdocyclitis.